All of the following are the disadvantages of anesthetic ether, except
1. Induction is slow
2. Irritant nature of ether increases salivary and bronchial secretions
3. Cautery cannot be used
4. Affects blood pressure and is liable to produce arrhythmias

Correct answer: 4. Affects blood pressure and is liable to produce arrhythmias

Explanation: Ether has high blood solubility (high blood : gas partition coefficient) → induction is slow.
It is irritant in nature and increases salivary & respiratory secretions.
Blood pressure is maintained because of reflex stimulation and high sympathetic tone. It does not sensitizes the heart to arrhythmogenic action of adrenaline
It is highly inflammable, cautery should not be used.